Argyll Robertson Pupil results from the lesion of:
1. Accessory ganglion
2. Ciliary ganglion
3. Tectum region
4. Lateral geniculate body

Correct answer: 3. Tectum region

Explanation: Ans. Tectum region